Magendie foramen or the Median aperture drains CSF from?
1. Lateral ventricle
2. 3rd ventricle
3. 4th ventricle
4. Interpeduncular fossa

Correct answer: 3. 4th ventricle

Explanation: 4th ventricleREP: Gray's anatomy 39' edition p. 291The median aperture ("Foramen of Magendie") drains CSF from the fourth ventricle into the cisterna magna.The two lateral apertures (foramina of Luschka), one on the left and one on the right, are the primary routesfor drainage of cerebrospinal fluid from the fourth ventricle into the cerebellopontine angle cistern.The foramen on axial images is posterior to the pons and anterior to the caudal cerebellum.